Recurrent breech presentation is due to:
1. Placenta previa
2. Hydrocephalus
3. Septate uterus
4. Short cord

Correct answer: 3. Septate uterus

Explanation: Ref: Dutta's Text Hook of Obstetrics, 7th edition.Explanation:Though all the other options can cause breech presentation. they need not recur in each pregnancy. But septate uterus does not change with each pregnancy. Thus, logically, it is the right option.Breech presentationMost common abnormal presentationMost common cause is prematuritySpontaneous conversion to vertex occurs in 75% cases by 34 weeksEngaging diameterOf buttocks - Bitrochanteric 110 ems)Of shoulder- Bisacromial (12 cms >Of head - Subocccipito frontal (10 cms)Sacrum is the denominatorDelivery of aftercoming head in breech is by flexionElective CS in breechBig breecho 3.5 kgs)Hvperextension of headFootling presentationFPDMethods of delivery of after coming headBurn's Marshall methodJaw Sexion and shoulder traction (Mauriceau Smellie Veit technique)Pipers forcepsPinards manoueuvre: Bringing down a leg in assisted breech deliveryLovset's manoueuvre: Delivery of extended arms in breech delivery.